Hallucination is a disorder of
1. Thought
2. Perception
3. Memory
4. Intelligence

Correct answer: 2. Perception

Explanation: Hallucination A hallucination is a perception experienced in the absence of an external stimulus. The hallucinations can be in the auditory, visual, olfactory, gustatory oactile domains. Auditory hallucinations are commonest types of hallucinations in non-organic psychiatric disorders like schizophrenia. visual hallucinations are comonest type of hallucinations in organic brain syndrome like delirium tactile hallucinations are comonest type of hallucinations in substance use like cocaine commonly called as cocaine bugs olfactory and gustatory hallucinations are commonest type of hallucinations in temporal lobe epilepsy Ref: A Short Textbook of Psychiatry, Niraj Ahuja, 7th Edition, pg. no. 13 kaplon and sadock synopsis of psychiatry, 11 the edition, pg no.307